Anticodon 5'-I-G-C-3' can recognize all of the following codons EXCEPT:
1. GCA
2. GCG
3. GCC
4. GCU

Correct answer: 2. GCG

Explanation: To answer this question, let's understand the wobbling rules in more detail. The figure below is key to understanding the concept. Wobble position is the 3rd position of the codon on mRNA and the first position of anticodon on tRNA in 5' to 3' direction (see fig below). Bases in the wobble position are wobble bases. Wobble bases can base pair non-Watson Crick base pairing (Watson Crick base pairing is: A only pair with T and G with C). Let's find the wobble base of the tRNA in the question. The first base (5'-3' direction) of the anticodon is Inosine (I). Thus, it is the wobble base of tRNA here. Inosine (I) in the wobble base can base pair with C, A or U but not with G. So codons it can recognize or pair with are GCC, GCA and GCU but not GCG. Hence, the answer is option B.